Density of cells in adult corneal endothelium ?
1. 2000 cells/mm2
2. 3000 cells/mm2
3. 4000 cells/mm2
4. 5000 cells/mm2

Correct answer: 2. 3000 cells/mm2

Explanation: Ans. is 'b' i.e., 3000 cells/mm2 The cell density of corneal endothelium is around 3000 cells/mm2 in young adults, which decreases with the advancing age.